Electron microscopy is virtually diagnostic in renal biopsy study of:
1. Goodpasture's syndrome
2. Churg-Strauss syndrome
3. Alport syndrome
4. Wegner's granulomatosis

Correct answer: 3. Alport syndrome

Explanation: . Alport syndrome